Lesion in the optic chiasma causes -a) Bitemporal hemianopiab) Upper nasalc) Lower nasald) Upper temporale) Lower temporal
1. acd
2. bde
3. ade
4. ad

Correct answer: 3. ade

Explanation: Central lesions of optic chiasma


Characteristic visual field defect → Bitemporal hemianopia


Initially temporal quadrantanopia may occur :-


Lesion compressing from below → upper temporal
Lesion compressing from above → lower temporal

Lateral lesions of optic chiasma → Binasal hemianopia